All of the following are true regarding tetralogy of fallot except:
1. Boot shaped heart
2. Most common cyanotic heart disease
3. Clinical consequences depends on severity of subpulmonic stenosis
4. Left ventricular hypertrophy

Correct answer: 4. Left ventricular hypertrophy

Explanation: Ans. D: Left ventricular hypertrophyTetralogy of Fallot constitutes about 10 percent of all congenital heart disease.It iS the most common cyanotic heart defect.It is a congenital cardiac anomaly that consists of four defects: pulmonic stenosis, ventricular septal defect, malposition of the aorta so that it arises from the septal defect or the right ventricle, and right ventricular hypertrophy. Radiographic findings-heart is roughly normal size. The curve of the right heart margin is tall. The cardiac apex is elevated above tile diaphragm. There is a visible aortic knuckle. The curve of the left ventricular margin begins immediately below this and also looks longer than usual. The pulmonary vessels are undersized.The heart is often enlarged and may be "boot shaped" as a result of marked right ventricular hypertrophy, particularly of the apical region.The clinical consequences depends primarily on the severity of subpulmonic stenosis, as this determines the direction of blood flow. If the subpulmonary stenosis is mild, the abnormality resembles an isolated VSD, and the shunt may be leftto-right, without cyanosis (pink tetralogy)